Canon A wave is seen in:
1. Atrial fibrillation
2. Complete heart block
3. Ventricular fibrillation
4. Mobitz 1 heart block

Correct answer: 2. Complete heart block

Explanation: Ans. (b) Complete heart blockRef.-.Harrison 18th edition, chapter 227:* The a wave reflects right atrial presystolic contraction and occurs just after the electrocardiographic P wave, preceding the first heart sound (Sj).* The a wave is not present with atrial fibrillation.* Canon a wave occurs with# Atrioventricular (AV) dissociation/ complete heart block due to right atrial contraction against a closed tricuspid valve.# Wide complex tachycardia like ventricular tachycardia* A prominent a wave is seen in patients with reduced right ventricular compliance like Right ventricular failure.